Tuberclin test is reaction of -
1. Anaphylaxis mediated
2. Cell mediated
3. Antibody mediated
4. Immune complex mediated

Correct answer: 2. Cell mediated

Explanation: Tuberculin test is type IV hypersensitivity reaction. - it is a cell mediated response. The antigen activates specifically sensitised CD4 & CD8 T lymphocytes leading to the secretion of lymphokines and phagocyte accumulation. Reference : Anathanarayan & paniker's 9th edition, pg no: 162